A three year old child is brought to the emergency department having just ingested a large overdose of an antihistaminic drug. This drug is a weak base capable of entering most tissues including the brain. On physical examination the heart rate is 100/ minute, blood pressure is 110/60 mm Hg and the respiratory rate is 20/ minute. In this case of poisoning:
1. Urinary excretion would be accelerated by administration of NH4Cl, an acidifying  agent
2. Urinary excretion would be accelerated by administration of NaHCO3, an  alkalinizing agent
3. More of the drug would be ionized at blood pH than at stomach pH
4. Absorption of the drug would be faster from the stomach than from the small intestine

Correct answer: 1. Urinary excretion would be accelerated by administration of NH4Cl, an acidifying  agent